The cavity varnish applied reduces post operative sensitivity in amalgam restoration by:
1. Decreasing conduction of heat to pulp
2. Minimize marginal leakage around restoration
3. By altering the chemical composition of restoration materials
4. By preventing penetration of corrosion products into the dentinal tubules

Correct answer: 2. Minimize marginal leakage around restoration

Explanation: Varnish reduces the infiltration of irritating fluids through marginal crevices and lessens pulpal irritation. Varnish is also claimed to prevent the penetration of corrosion products of amalgams into the dentinal tubules, thereby reducing the unsightly tooth discoloration often associated with amalgam restorations.
Phillips 12 ed page 314